The following adverse effect of Penicillin is dose related:
1. Skin rash
2. Interstitial Nephritis
3. Drug fever
4. Encephalopathy

Correct answer: 4. Encephalopathy